Most common cause of Vertebra plana
1. Eosinophilic granuloma
2. Leukemia
3. TB
4. Metastasis

Correct answer: 1. Eosinophilic granuloma

Explanation: Vertebra plana:

Uniform collapse of a vertebral body into a thin, flat disc.
M/c cause - Eosinophilic granuloma.